Caplan's syndrome is
1. Splenomegaly + Neutropenia
2. Rheumatoid Arthritis + Pneumoconiosis
3. Pneumoconiosis + Splenomegaly
4. Pneumoconiosis + Neutropenia

Correct answer: 2. Rheumatoid Arthritis + Pneumoconiosis

Explanation: Rheumatoid Arthritis + Pneumoconiosis nodules = Caplan's syndrome.
Neutropenia + Splenomegaly + Nodular RA = Felty's syndrome.